Glycoprotein IIb-IIIa complex is deficient in -
1. Bernard-Soulier syndrome
2. Glanzmann's disease
3. Gray platelet syndrome
4. Von-Willebrand disease

Correct answer: 2. Glanzmann's disease

Explanation: In Glanzmann thrombasthenia bleeding is due to defective platelet aaggregation,which is also transmitted as an autosomal recessive trait.Thrombasthenic platelets fail to aggregate toin response to ADP collagen epinephrine or thrombin due to deficiency or dysfunction of Gp 2b 3a. Bernard Soulier Syndrome due to deficiency of Glycoprotein complex 1b-9 von willebrand disease is due to vWF deficiency as well as deficiency of factor 8 Gray platelet syndrome is due to deficiency of platelet alpha granules Ref:Robbins and Cotran Pathologic basis of disease.South Asia Edition-9; volume 1 Page no.660,662